Lymphadenopathy is seen is A/E
1. Syphlis 1st Stage
2. Donovanosis
3. LGV
4. Chancroid

Correct answer: 2. Donovanosis

Explanation: B i.e. Donovanosis